In `Hot air oven' for holding period of one hour, the temperature required is -
1. 100°C
2. 120°C
3. 140°C
4. 160°C

Correct answer: 4. 160°C